Which of the following vitamin is most potent antioxidant?
1. Vitamin D
2. Vitamin E
3. Vitamin K
4. Vitamin B

Correct answer: 2. Vitamin E

Explanation: Ans. B Vitamin E* Vitamins which act as anti-oxidants are: Vitamin A, C and E (tocopherol)* Beta Carotene (Vit A) is an anti-oxidant at low PO2 These antioxidants are of two types:1. Preventive antioxidants: Reduce the rate of chain initiation. Includes: Catalase, EDTA, DTPA2. Chain breaking antioxidant: Interfere with chain propagation. Includes: SOD, Vitamin E.